In vitamin B12 deficiency, folate is trapped in the form of
1. Formyl THFA
2. Methenyl THFA
3. Methyl-THFA
4. Methylene-THFA

Correct answer: 3. Methyl-THFA

Explanation: Methylation of homocysteine to methionine is the only way of regeneration of active THFA from methyl THFA. Methionine synthase reaction requires methyl cobalamin. So, deficiency of methyl-B12 leads to trapping of THFA in less utilised methyl-THFA - phenomenon known as folate trap.